Sebaceous cell carcinoma of the lids arises from:
1. Meibomian gland
2. Sebaceous gland of eyebrows
3. Caruncle
4. All of the above

Correct answer: 4. All of the above

Explanation: Ans. All of the above